Which of the following ultrasound feature of a thyroid nodule is not suggestive of malignancy?
1. Microcalcification
2. Nonhomogenous
3. Hypoechogenisity
4. Hyperechogenisity

Correct answer: 4. Hyperechogenisity

Explanation: Malignant thyroid nodule shows marked hypoechogenicity on the ultrasound. Hyperchogenicity of a thyroid nodule on ultra sound suggests a benign lesions. Ultrasound features of malignant thyroid nodules: Vascularity Hypoechogenicity Presence and type of calcification Finding of enlarged adjacent lymph node Smoothness of the border around the nodule Ref: Thyroid Neoplasms By Bryan Haugen, Volume 4, Page 36,7